Which of the following represents Weber Fechner Law?
1. Magnitude of stimulus strength perceived is approximately proportionate to the log of the intensity of stimulus strength
2. Magnitude of stimulus strength perceived is directly proportional to the intensity of stimulus strength
3. Threshold of receptor is directly proportional to stimulus strength
4. Threshold of receptor is inversely proportional to stimulus strength

Correct answer: 1. Magnitude of stimulus strength perceived is approximately proportionate to the log of the intensity of stimulus strength

Explanation: The intensity of sensation is determined by the amplitude of the stimulus applied to the receptor. Action potentials in an afferent fiber from a mechanoreceptor of a single sensory unit increase in frequency as branches of the afferent neuron are stimulated by pressure of increasing magnitude. The magnitude of sensation felt is proportional to the log of the intensity of the stimulus is called the Weber-Fechner law. R=KSA R = Sensation felt. S= Intensity of the stimulus. and for any specific sensory modality, K and A are constants. Ref: Barrett K.E., Barman S.M., Boitano S., Brooks H.L. (2012). Chapter 8. Somatosensory Neurotransmission: Touch, Pain, and Temperature. In K.E. Barrett, S.M. Barman, S. Boitano, H.L. Brooks (Eds), Ganong's Review of Medical Physiology, 24e.